Following is true about behcet's disease except ?
1. It shows presence of aphthous ulceration, genital ulceration and uveitis
2. Uveitis is bilateral, acute recurrent iridocyclitis with hypopyon
3. It has good visual prognosis
4. Chlorambucil can be used to control the disease

Correct answer: 3. It has good visual prognosis

Explanation: Ans. is 'c' i.e., It has good visual prognosis BEHCET'S DISEASE It is an idiopathic multisystem disease characterised by recurrent, non-granulomatous uveitis, aphthous ulceration, genital ulcerations and erythema multiforme. Etiology It is still unknown; the basic lesion is an obliterative vasculitis probably caused by circulating immune complexes. The disease typically affects the young men who are positive for HLA-B5 1. Clinical features Uveitis seen in Behcet's disease is typically bilateral, acute recurrent iridocyclitis associated with hypopyon. It may also be associated with posterior uveitis, vitritis, periphlebitis retinae and retinitis in the form of white necrotic infiltrates. Treatment No satisfactory treatment is available, and thus the disease has got comparatively poor visual prognosis. Corticosteroids may by helpful initially but ultimate response is poor. In some cases the disease may be controlled by chlorambucil.